Which of the following organelles plays a pivotal role in apoptosis?
1. Mitochondria
2. Endoplasmic reticulum
3. Nucleus
4. Golgi apparatus

Correct answer: 1. Mitochondria

Explanation: The Mitochondrial (Intrinsic) Pathway of Apoptosis Mitochondria contain several proteins that are capable of inducing apoptosis; these proteins include cytochrome c and other proteins that neutralize endogenous inhibitors of apoptosis. The choice between cell survival and death is determined by the permeability of mitochondria, which is controlled by a family of more than 20 proteins, the prototype of which is Bcl-2.(Reference: Robbins Basic Pathology, 9th edition Page no: 19)